Triple test for diagnosis of Down's syndrome includes all of the following except –
1. β–HCG
2. α–Fetoprotein
3. Serum HPL level
4. Serum oestriol level

Correct answer: 3. Serum HPL level

Explanation: Triple test is a combined biochemical test which includes → MSAFP, HCG, & Oestriol

In an affected pregnancy  
level of MSAFP is decreased
level of oestriol is decreased
the level of hCG is High (increased)